Palpable purpura is seen in –
1. PAN
2. ITP
3. TTP
4. DIC

Correct answer: 1. PAN